Which of the following induction agent may cause adrenal cortex suppression?
1. Propofol
2. Ketamine
3. Etomidate
4. Thiopentione

Correct answer: 3. Etomidate

Explanation: Etomidate is an induction anaesthetic which cause suppression of production of steroids from adrenals. It is therefore not suitable for continuous intravenous use. It has brief duration of action (5-10min) and produce little cardiovascular and respiratory depression. It produce prominent motor restlessness and rigidity. Use of etomidate should be restricted to clinical situations in which its hemodynamic stability offers a distinctive advantage over the other available induction drugs (e.g. elderly outpatients with clinically significant coronary artery or cerebrovascular disease). Ref: Essentials of Medical Pharmacology By K D Tripathi, 5th Edition, Pages 342-4